Histological type of Ca cervix most sensitive to radiotherapy is:
1. Squamous cell carcinoma
2. Adenocarcinoma
3. Endometroid carcinoma
4. Mixed variety

Correct answer: 1. Squamous cell carcinoma

Explanation: Ans: a (Squamous cell carcinoma) Ref: Shaw, 13th ed,p. 412; Harrison's, 16th ed, p. 557Most common variety of Ca cervix is squamous cell carcinoma (epidermoid).It accounts for 95% of all Ca cervix.In a patient with a bulky or barrel shaped cervix (stage IB ) pre operative radiation shrinks the growth sufficiently to permit surgery thereafter.Treatment of Ca cervixStage Ia1 (Micro invasive)- Simple hysterectomyStage Ia2, Ib, IIa- Radical hysterectomy + BLNDOrExt. RT + ICRT (Brachytherapy)Stage IIb- Preop RT - Surgery - PostOp RTOROnly RTStage III, IV- Only RT